Tom cat urine odor is seen in?
1. Multiple carboxylase deficiency
2. Hawkinsinuria
3. Tyrosinemia
4. Phenylketonuria

Correct answer: 1. Multiple carboxylase deficiency